A patient with alkaline urine which is cloudy with plenty of pus cells is suffering from infection with -
1. E. coli
2. Proteus
3. T.B.
4. None

Correct answer: 2. Proteus